A dead body is having cadaveric lividity of bluish green color. The most likely cause of death is by poisoning due to:
1. Hydrocyanic acid
2. Hydrogen sulfide
3. Oleander
4. Sodium nitrite

Correct answer: 2. Hydrogen sulfide

Explanation: Ans. Hydrogen sulfide